ABC transporter ?
1. P. glycoprotein
2. Membrane sparing
3. Channel
4. Adenylyl cyclase

Correct answer: 1. P. glycoprotein

Explanation: Ans. is'a' i.e., P. glycoproteinATP-binding cassette transporters (ABCtransporters) are integral transmembrane proteins that utilize ATP as an energy source to translocate a variety of substrates across membranes.P-glycoprotein is an ATP-binding cassette (ABC) transporter and is an important factor to limit membrane permeability in several tissues and/or elimination pathways into urine (rend tubles) and bile (liver).